Which is not a prodrug:
1. Quinapril
2. Fosinopril
3. Benzopril
4. Lisinopril

Correct answer: 4. Lisinopril

Explanation: Remember all ACE inhibitors other than Captopril and lisinopril are prodrugs.